In an ablated animal, myeloid series are injected. Which of following is seen after incubation period -
1. RBC
2. Fibroblast
3. T lymohocytes
4. Hematopoeitic stem cells

Correct answer: 1. RBC

Explanation: . RBC